The recommended size of endotracheal tube for 1 year old child is
1. 2.5
2. 3
3. 4
4. 5

Correct answer: 3. 4

Explanation: Tube diameter in mm
= Age in years/4 + 4
= 1/4 + 4
= 17/4
= 4.2